True about COX-2 are all except-
1. It is constitutionally expressed on some cell surfaces
2. Activation of COX-2 leads to ulceroprotective effect on gastric mucosa
3. Induced at the site of inflammation
4. It is utilized in generation of eicosanoids with a ring structure

Correct answer: 2. Activation of COX-2 leads to ulceroprotective effect on gastric mucosa

Explanation: Ans. is 'b' i.e., Activation of COX-2 leads to ulceroprotective effect on gastric mucosa It has been explained earlier that COX-2 is an inducible enzyme. But, At two sites it is constitutively active i) Kidney ii) Brain o Induction of cyclooxygenase (COX) will enhance the production of prostaglandins, which have ulceroprotective effect. But, it is COX-1 (not COX-2) which acts at stomach and produces gastroprotective effect --> so, COX-2 inhibitors usually don't have gastrointestinal side effects unlike COX-1 inhibitors which have gastrointestinal side effects. o COX-2 is an inducible enzyme -3 induced at the site of inflammation. o COX-2 is involved in the synthesis of prostaglandins (PGs are eicosanoids) which have cyclopentane ring (ring structure).